Maximum O2. concentration attained in venture mask is?
1. 90%
2. 100%
3. 60%
4. 80%

Correct answer: 3. 60%

Explanation: ANSWER: (C) 60%REF: Ajay Yadav 2ad ed p.35Equipment and oxygen delivered in %Nasal canula - 44%Venturi mask - 60%Oxygen mask - 60%Ventilators -100%